Which of the following is the most common salivary gland neoplasm?
1. Mucoepidermoid carcinoma
2. Myoepithelioma
3. Warthin tumour
4. Pleomorphic adenoma

Correct answer: 4. Pleomorphic adenoma

Explanation: Pleomorphic adenomas are the most common salivary gland neoplasms. Warthin tumor is the second most common salivary gland neoplasm. Mucoepidermoid carcinoma is the most common primary malignant tumor of salivary glands.